Sound intensity of whispering is:
1. 30 dB
2. 90 dB
3. 2 dB
4. 120 dB

Correct answer: 1. 30 dB

Explanation: The intensity of sound at 1 metre, in various human conversations are as below: Whisper - 30 dB Normal conversation - 60 dB Shout - 90 dB There occurs Discomfort in the ear at 120 dB and pain in the ear at a loudness of 130 dB